Inhaled nitric oxide is used -
1. For stabilizing systemic heamodynamics
2. In case of jaundice
3. To prevent CNS complication
4. For reducing pulmonary hypertension

Correct answer: 4. For reducing pulmonary hypertension

Explanation: Ans. is 'd' i.e., For reducing pulmonary hypertension According to Goodman Gilman "Inhaled nitric oxide has been approved by FDA for use in newborns with persistent pulmonary hypertension and has become the first line therapy for this disease. In this disease state NO inhalation has been shown to reduce, significantly, the necessity for extracorporeal oxygenation"